Which of the following aminosteroid neuromuscular blocker is safe in renal disease patients
1. Pancuronium
2. Atracurium
3. Doxacurium
4. Vecuronium

Correct answer: 4. Vecuronium

Explanation: Vecuronium is safe in renal disease patients, among aminosteroids. Although atracurium is overall preferred non depolarizing neuromuscular blocker.